Joint mice are seen in the following disease :
1. Osteoarthritis
2. Rheumatoid arthritis
3. Juvenile arthritis
4. All of the above

Correct answer: 1. Osteoarthritis

Explanation: Degenerative joint disease or osteoarthritis is a non-inflammatory disorder of joints characterized by joint deterioration and new bone formation. The new bone formed is called osteophyte. In severe cases, the osteophytes may break-off and lie free within joint space. These fragments are known as "Joint mice or mouse" and these must be differentiated from other conditions that cause joint radiopacities.